EB Virus is associated with which carcinoma:
1. Carcinoma of larynx
2. Carcinoma of bladder
3. Nasopharyngeal carcinoma
4. Chronic lymphocytic leukemia

Correct answer: 3. Nasopharyngeal carcinoma